Hair growth is seen in which phase of the hair cycle-
1. Anagen
2. Catagen
3. Telogen
4. None of the above

Correct answer: 1. Anagen

Explanation: Ans. is 'a'i.e., Anagen o Anagen phase:- Phase of activity and growtho Catagen phase:- Transition phaseo Telogen phase:- Resting or degenerative phase